Smoking in pregnancy causes:
1. IUGR
2. PIH
3. Malpresentation
4. PPH

Correct answer: 1. IUGR

Explanation: Ans. is a i.e. IUGRRef Dutta Obs. 7/e, p 100, 255; Williams Obs. 23/e, p 180. 181Smoking increase the risk of:Preterm labourFetal growth restrictionLow birth weightAttention deficit/Hyperkinetic disorder typically identified by school ageBehavioural learning problemsBesides the above fetal problems it increase the risk of pregnancy complications related to vascular damage, such as placental insufficiency and placental abruption.Note:Carbon monoxide and nicotine are responsible for the adverse fetal effects.Both active and passive smoking are associated with these risks.Cessation of smoking increases birth weight of fetus.Smoking does not affect maternal weight during pregnancySmoking is protective against PIH.